Hypokalemia ECG changes-
1. Tall T wave
2. Short QRS interval
3. Depressed ST segment
4. Absent P wave

Correct answer: 3. Depressed ST segment

Explanation: Hypocalcemia: The most significant sign is intermittent QT prolongation, or intermittent prolongation of the QTc (corrected QT interval) secondary to a lengthened ST segment and depressed ST segment. Although rare, this may lead to arrhythmias such as torsades de pointes, VT, or complete heart block. Ref : Harrison 20th edition pg 1435